Mutation seen in malignant melanoma
1. P53
2. CDKN2A
3. RET
4. Rb

Correct answer: 2. CDKN2A

Explanation: Germline mutations in CDKN2A gene are found in about 40% of familial malignant melanoma cases.